Sentinel pile indicates -
1. Carcinoma rectum
2. Internal haemorrhoids
3. Perianal fistula
4. Anal fissure

Correct answer: 4. Anal fissure